The primary goal of Human genome project has been:
1. Introduction of a gene sequence into a cell to modify its behavior
2. Development of new diagnostic techniques such as restriction enzymes
3. Identify genes and sequence of base pairs in DNA of human genomes
4. Confirmation of Hardly Weinberg LAw

Correct answer: 3. Identify genes and sequence of base pairs in DNA of human genomes

Explanation: HUMAN GENOME PROJECT: Human genome project: HGPRT is an international scientific research project Primary goals were to determine the sequence of chemical base pairs which make up DNA and to identify the approximately 25,000 genes of the human genome They also want to understand it and complete a map of all their findings The project began in 1990 initially headed by James D. Watson Ongoing sequencing led to the announcement of the essentially genome in April 2003. The goals of the original HGPRT were not only to determine more than 3 billion base pairs in the human genome, but also to identify all the genes in this vast amount of data This part of the project is still ongoing, although a preliminary count indicates about 22,000-23,000 genes in the human genome Ref: park 25th edition Pgno: 863